Effective polymerase reaction was repeated for 3 cycleson a DNA molecule. What will be the resultingformation of the copies?
1. Double number of copies
2. Three times the number of DNA molecule
3. Four times the number of DNA molecule
4. 8 times

Correct answer: 4. 8 times

Explanation: . 8 times